Anterior posterior diameter of vocal cords in both males & females is -
1. 24 & 36 mm
2. 36 & 48mm
3. 23 & 17 mm
4. 48 & 36 mm

Correct answer: 3. 23 & 17 mm